Intercavitatory radiotherapy is treatment modality for
1. Ca Cervix
2. Ca Oesophagus
3. Ca Stomach
4. Renal cell CA

Correct answer: 1. Ca Cervix

Explanation: Intracavitary brachytherapy is used most commonly in patients with cancer cervix after radiation therapy has been completed.